Which of the following statements is true of ketorolac ?
1. Has potent anti-inflammatory activity
2. Its analgesic efficacy is equal to morphine in postoperative pain
3. Is used as preanaesthetic analgesic
4. It interacts with opioid receptor

Correct answer: 2. Its analgesic efficacy is equal to morphine in postoperative pain

Explanation: Ketorolac is an NSAID promoted for systemic use mainly as an analgesic, not as an anti-inflammatory drug (though it has typical NSAID properties).
The drug does appear to have significant analgesic efficacy and has been used successfully to replace morphine in some situations involving mild to moderate postsurgical pain.